True aboutAutism -a) Persistent delusionb) Persistent hallucinationc) Incoordinate social interactiond) Defective reciprocal interactione) Onset after 5 yr
1. ab
2. cd
3. bd
4. ac

Correct answer: 2. cd

Explanation: "Autism i.e., marked impairment in reciprocal, social and interpersonal interaction"....... Ahuja
Onset of symptoms of autism is before 2.5-3 years.
There are no delusions or hallucinations.